Safest light used in darkroom in a X-ray department is:
1. Dull white
2. Blue
3. Green
4. Red

Correct answer: 4. Red

Explanation: Ans. Red